Most common cause of sore throat in children is ?
1. RSV
2. Rhinovirus
3. Influenza virus
4. Allergic

Correct answer: 2. Rhinovirus

Explanation: Ans. is'b'i.e., RhinovirusRhinovirus is the most common cause of sore throat in children'Streptococcus pyogenes is the most common bacterial cause of sore throat/Pharyngitis.